Postponing paying attention of conscious impulse or conflict is a mature defence mechanism known as -
1. Sublimation
2. Suppression
3. Humor
4. Anticipation

Correct answer: 2. Suppression

Explanation: Suppression is pushing of unwanted feelings into unconscious which has reached conscious awareness.